Open biopsy is done for salivary gland tumors unless they are arising from
1. Palate
2. Buccal
3. Sublingual
4. Parotid

Correct answer: 4. Parotid

Explanation: Answer- D. ParotidOpen biopsy of the parotid or submandibular gland is not advised as it risks minor seeding and may complicate the indicated surgery.